Curling ulcer is seen in -
1. Burns
2. Head injury
3. Trauma
4. Surgical operations

Correct answer: 1. Burns

Explanation: Answer is 'a' i.e. Burns Curling ulcer is seen in Burn Cushing ulcer is seen in head injury.